Absorbable sutures are -
1. Silk
2. Polypropylene
3. Polyglycolic acid
4. All

Correct answer: 3. Polyglycolic acid

Explanation: Ans. is C:Polyglycolic Acid. Absorbable sutures are:Plain and Chromic Catgut,Polyglactin,Polyglyconate,Polyglycolic Acid,Polydiaxone,Polyglycaprone. Non-absorbable sutures are:Silk,Linen,Surgical Steel,Linen,Polyester,Polybutester,Polypropylene.